Osteoporosis is seen in all the following except -
1. Thyrotoxicosis
2. Rheumatoid arthritis
3. Hypoparathyroidism
4. Steroid therapy

Correct answer: 3. Hypoparathyroidism